Semi essential Amino acid
1. Valine
2. Phenylalanine
3. Histidine
4. Glycine

Correct answer: 3. Histidine

Explanation: 10 Essential Amino Acids

Phenylalanine
Tryptophan
Valine
Isoleucine
Leucine
Lysine
Arginin    ] - Semi
Histidine ]   essential
Methionine
Threonine